Genetic syndromes associated with increased incidence of neuroendocrine tumors are all except:
1. Multiple endocrine neoplasia 1
2. Von hippel Lindau disease
3. Von recklinghausen's disease
4. Cri du chat syndrome

Correct answer: 4. Cri du chat syndrome

Explanation: Multiple endocrine neoplasia 1, Von hippel Lindau disease, Von recklinghausen's disease and Tuberous sclerosis are the genetic syndromes associated with increased incidence of neuroendocrine tumors. Reference: Harrisons Principles of Internal Medicine, 18th Edition, Page 3060